The anticoagulant of choice used in the blood bank is:
1. Calcium oxalate
2. Heparin solution
3. Acid citrate dextrose solution
4. Sodium fluoride

Correct answer: 3. Acid citrate dextrose solution